Maturation of spermatids is called spermiogenesis and involves all of the following except-
1. Condensation of the nucleus
2. Formation of the flagellum
3. Formation of the acrosome
4. Mitosis

Correct answer: 4. Mitosis

Explanation: Maturation of spermatids is called spermiogenesis and involves condensation of the nucleus, formation of the flagellum, and the formation of the acrosome (a structure derived from the Golgi complex covering the tip or head of the sperm nucleus). The resultant spermatozoa are released into the seminiferous tubule lumen and then enter the epididymis, where they continue to mature and become progressively more motile during the 2 to 6 days that are required to traverse this tortuous structure and reach the vas deferens. As depicted in the image below, the last step is known as spermiogenesis. Mitosis has occured earlier in the process of spermatogenesis.